During cardiac imaging, the phase of minimum motion of heart is
1. Late systole
2. Mid systole
3. Late diastole
4. Mid diastole

Correct answer: 4. Mid diastole